Which of the following drugs are believed to be effective in the treatment of post operative shivering?
1. Ondansetron
2. Diclofenac sodium
3. Pethidine
4. Paracetamol

Correct answer: 3. Pethidine

Explanation: Ans. (C) Pethidine(Ref: Anesthesiology by Longnecker/1485; KDT 8th/e p503)Pethidine is most effective drug for treatment of post-operative shivering. Other drugs that can be used for this purpose are clonidine, doxapram, ketanserin and alfentanil.